In an ablated animal, myeloid series cells are injected. Which of following is seen after incubation period
1. RBCs
2. Fibroblasts
3. T lymphocytes
4. Hematopoetic stem cells

Correct answer: 1. RBCs

Explanation: Ans. a. RBCs